Surgery of choice for chronic duodenal ulcer is -
1. Vagotomy + antrectomy
2. Total gastrectomy
3. Truncal vagotomy + pyloroplasty
4. Highly selective vagotomy

Correct answer: 4. Highly selective vagotomy

Explanation: Highly selective vagotomy Procedure of choice for chronic or intractable duodenal ulcers Nerves of Latarjet supplying the antrum are preserved (and hence gastric motility) Drainage procedure is not required Lowest Mortality rate and side effects. Minimal chances of dumping Syndrome and gastric atony Relatively high recurrence. Ref: Maingot's 11/e chapter 11 & 12; Schwartz 9/e p913